Blood of 45 yrs old male shows increase HVA. This pt is most likely to show
1. PCC
2. Schizophrenia
3. Depression
4. Parkinson's ds

Correct answer: 2. Schizophrenia

Explanation: Increased levels of HVA are found in the schizophrenia but this does not have any clinical utility. It is a research-based parameter based on the fact that schizophrenia is a illness caused by Hyperdopaminergic state. HVA is a metabolite of dopamine higher levels are found in CSF and plasma.